Which of the following is not done in treatment of ankylosis?
1. High condylar shave
2. Repositioning of temporal fascia
3. Ipsilateral coronoidectomy
4. Contralateral coronoidectomy

Correct answer: 1. High condylar shave